Which of the following is Not characteristic of congenital Syphilis?
1. Ghon complex
2. Interstitial keratitis
3. Mulberry molars
4. Notched incisors

Correct answer: 1. Ghon complex